A child is spinned around by holding his hand by his father. While doing this the child started crying and does not allow his father to touch his elbow. The diagnosis is
1. Pulled elbow
2. Radial head dislocation
3. annular ligament tear
4. Fracture olecranon process

Correct answer: 1. Pulled elbow

Explanation: Ans. is 'a' ie Pulled elbow Pulled elbow - The head of the radius is pulled partly out of the annular ligament when the child is lifted by the wrist.Clinical picture - A child aged 3-4 yrs is brought with a painful dangling arm there is usually a h/o the child being jerked by the arm and crying in pain, the forearm is held in pronation and any attempt to supinate It's resisted.There are no x-ray changes.Spontaneous recovery sometimes occur if the arm is rested in a sling for a few days, or else the head is reduced by fully supinating the forearm and applying direct pressure over the head of the radius.Radial head dislocation:Occur with of ulna (k/a Monteggia dislocation) Mechanism of injury in fall on the hand.Fracture of olecranon process :Usually seen in adults, results from direct injury as in fall onto the point of the elbow.Annular ligament tear :This ligament winds round the head of the radius and keeps the head in position. It's a strong ligament and difficult to get teared.